Alzheimer's disease, which is involved?
1. Frontal cortex
2. Cortical atrophy of temporoparietal cortex
3. Frontal and parietal cortex
4. Occipital cortex

Correct answer: 2. Cortical atrophy of temporoparietal cortex

Explanation: Alzheimer's disease (AD), also referred to simply as Alzheimer's, is a chronic neurodegenerative disease that usually starts slowly and gradually worsens over time.It is the cause of 60-70% of cases of dementia.The most common early symptom is difficulty in remembering recent events.As the disease advances, symptoms can include problems with language, disorientation (including easily getting lost), mood swings, loss of motivation, not managing self-care, and behavioural issues.As a person's condition declines, they often withdraw from family and society.Gradually, bodily functions are lost, ultimately leading to death.Although the speed of progression can vary, the typical life expectancy following diagnosis is three to nine years.cortical atrophy of temporal and parietal lobes Stages of Alzheimer's disease Effects of ageing on memory but not AD Forgetting things occasionally Misplacing items sometimes Minor short-term memory loss Not remembering exact details Early stage Alzheimer's Not remembering episodes of forgetfulness Forgets names of family or friends Changes may only be noticed by close friends or relatives Some confusion in situations outside the familiar Middle stage Alzheimer's Greater difficulty remembering recently learned information Deepening confusion in many circumstances Problems with sleep Trouble determining their location Late stage Alzheimer's Poor ability to think Problems speaking Repeats same conversations More abusive, anxious, or paranoid Ref Harrison20th edition pg 2345